Charbon is a term used for -
1. Leptospirosis
2. Cutaneous tuberculosis
3. Bubo of plague
4. Malignant pustule

Correct answer: 4. Malignant pustule

Explanation: Ans. is 'd' i.e., Malignant pustule . Charbon is symptomatic black lesion of Anthrax - Malignant pustule